Steriocilia of hair cells are embedded in
1. Tympanic membrane
2. Basilar membrane
3. Tectorial membrane
4. Reisner's membrane

Correct answer: 3. Tectorial membrane